Horner's syndrome DOES NOT include
1. Ptosis
2. Anhydrosis
3. Flushing
4. Mydriasis

Correct answer: 4. Mydriasis

Explanation: Miosis, ptosis, anhydrosis, and flushing are a features of homer's syndrome.